Fever & hemoprrhagic rash are seen in all except -
1. Dengue fever
2. Lassas fever
3. Rift Valley fever
4. Sand fly fever

Correct answer: 4. Sand fly fever

Explanation: Fever& hemorrhagic rashes are not seen in and fly fever REF:
MICROBIOLOGY ANANTHA NARAYANAN NINTH EDITION PAGE.525